All of the following are used in management of hirsutism except.
1. Spironolactone
2. GnRH
3. Danazol
4. OCPs

Correct answer: 3. Danazol

Explanation: Ans. is c, i.e. DanazolManagement of Hirsutism* OCPs (best & most effective)* Medroxyprogesterone acetate (150mg/m every 3 months or 10-20mg orally daily)* Spironolactone (50-100mg B/D)* Cyproterone acetate (is a part of Diane-Diane has; 2mg cyproterone acetate and 50mg ethinyl estradiol)* Flutamide (not preferred due to its hepatotoxicity)* Finasteride* GnRH agonist* Topical eflornithine hydrochlorideNote: Danazol's side effect is hirsutism, hence it can never be used in managing hirsutism.